A 5-year old girl presents with hypertension and virilization. There is also finding of hypokalemia what is the diagnosis-
1. 21-hydroxylase deficiency
2. 3-13 hydroxy steroid deficeicny
3. 11-13 hydroxylase deficeincy
4. Conn's disease

Correct answer: 3. 11-13 hydroxylase deficeincy

Explanation: Ans. is 'c' i.e., 11-13 hydroxylase deficiency o Hypertension, hypokalemia and virilization suggest the diagnosis of 11-13 hydroxylase deficiency.